Condition which is always bilateral:
1. Infantile glaucoma
2. Megalocornea
3. Acute congestive glaucoma
4. All of the above

Correct answer: 2. Megalocornea

Explanation: Ans. Megalocornea